Antihypertensive may act by blocking all of the following except
1. Alpha adrenoceptors
2. ATP dependent potassium channels
3. Nor adrenaline release
4. Beta adrenoceptors

Correct answer: 2. ATP dependent potassium channels

Explanation: Refer kDT 7/e p 558 Antihypertensives are a class of drugs that are used to treat hypertension (high blood pressure). Antihypertensive therapy seeks to prevent the complications of high blood pressure, such as stroke and myocardial infarction.